The following immunoglobulin DOES NOT lix to complement -
1. IgE
2. IgM
3. IgA
4. IgG

Correct answer: 1. IgE